Intramedullary fixation is ideal in a case of fracture of shaft of femur when there is
1. A transverse fracture
2. A compound fracture
3. Soft tissue interposition between the fractured ends
4. Such a fracture in a child

Correct answer: 1. A transverse fracture

Explanation: A i.e. A transverse fracture